Looser's zones is seen in – a) Osteoporosis b) Hyperparathyrodismc) Osteomalacia d) Renal osteodystrophye) Paget's disease
1. bcde
2. abd
3. abcd
4. acde

Correct answer: 1. bcde

Explanation: Looser's zone or pseudofracture is pathognomonic for osteomalacia, However, it may occur rarely also in Paget's disease, Fibrous dysplasia, Hyperparathyroidism, Renal osteodystrophy, Hyperphosphatasia, and osteogenesis imperfecta.